Gamma radiations are used for sterilizing:
1. Syringes
2. Cytoscopes
3. Dressing aprons
4. Metal instruments

Correct answer: 1. Syringes

Explanation: Key Points:-
Gamma radiation from a cobalt-60 source is used for sterilization of antibiotics, hormones, sutures, catheters, animal feeds, metal foils, and plastic disposables such as syringes. This has also been used to sterilize and ‘pasteurize’ meat and other food items.